Marginal catarrhal corneal ulcer is caused by:
1. Staphylococcus
2. Moraxella
3. Haemophilus
4. All of the above

Correct answer: 4. All of the above

Explanation: Ans. All of the above